Most important reservoir of leptospira-
1. Man
2. Rat
3. Monkey
4. Pig

Correct answer: 2. Rat

Explanation: Ans. is' B' i.e., Rat Transmission of Leptospira o Transmission of leptospires may follow direct contact with urine, blood or tissue from an infected animal o When people come into contact with water which is contaminated by infected urine of animal carriers, the leptospires enter the body through abraded skin or intact mucous membranes, especially the conjuctiva and the lining of the oro and nasopharynx. o Leptospirosis has been associated with three 'R's. 1) Rats: Rodents, especially rats, are the most important reservoir. 2) Rice field: Agricultural workers in rice fields are among high risk groups. 3) Rain: Heavy rain increases transmission of leptospira. There is no man to man transmission